Which of the following is not an antifungal drug?
1. Ketoconazole
2. Undecylenic acid
3. Ciclopirox
4. Clofazimine

Correct answer: 4. Clofazimine

Explanation: ANTIFUNGAL DRUGS: CLASS IFICATION 1. Antibiotics A. Polyenes:AmphotericinB (AMB),Nystatin, Hamycin, Natamycin (Pimaricin) B. Heterocyclic benzofuran: Griseofulvin 2. Antimetabolite Flucytosine (5-FC) 3 Azoles A. lmidazoles (topical): Clotrimazole, Econazole, Miconazole, Oxiconazole (systemic): Ketoconazole B. Triazoles (systemic): Fluconazole, Itraconazole, Voriconazole 4. Allylamine: Terbinafine 5. Other topical agents Tolnaftate, Undecylenic acid, Benzoic acid, Quiniodochlor, Ciclopirox olamine, Butenafine,sod thiosulfate ESSENTIALS OF MEDICAL PHARMACOLOGY K.D.TRIPATHI SIXTH EDITION PAGE NO:757